Rat is as s ociated with?
1. Leptospirosis
2. Measels
3. Tetanus
4. Influenza

Correct answer: 1. Leptospirosis

Explanation: ANSWER: (A) LeptospirosisREF: The short textbook of medical microbiology by Gupte - Page 259Repeat in June 2010Leptospirosis (also known as Weil's disease, Weils syndrome, canicola fever, canefield fever, nanukayami fever, 7-day fever, Rat Catcher's Yellows, Fort Bragg fever, and Pretibial fever)is a disease caused by infection with bacteria of the genus Leptospira that affects humans as well as other mammals, birds, amphibians, and reptiles.Leptospirosis is transmitted by the urine of an infected animal and is contagious as long as it is still moist. Although rats, mice, and moles are important primary hosts, a wide range of other mammals including dogs, deer, rabbits, hedgehogs, cows, sheep, raccoons, opossums, skunks, and certain marine mammals are able to carry and transmit the disease as secondary hosts.